CASPAR criteria is used in diagnosis of ?
1. Psoriatic arthritis
2. Rheumatoid arthritis
3. Ankyosing spondylitis
4. Reactive synnovitis

Correct answer: 1. Psoriatic arthritis

Explanation: Ans. is 'a' i.e., Psoriatic arthritis Classification criteria for psoriatic arthritis (CASPAR) is used for the diagnosis of psoriatic arthropathy. The CASPAR (classification Criteria for Psoriatic Arthritis) Criteria To meet the CASPAR criteria a patient must have inflammatory articular disease (joint, spine, or entheseal) with 3 points from any of the following five categories : Evidence of current psoriasis, a personal history of psoriasis, or fa family history of psoriasis. Typical psoriatic nail dystrophy observed on current physical examination. A negative test result for rheumatoid factor. Either current dactylitis or a history of dactylitis recorded by a rheumatologist. Radiographic evidence of juxtaaicular new bone formation in the hand or foot.